The following parasitic infections predispose to malignancies -
1. Pargibunuasus
2. Guinea worm infection
3. Clonorchiasis
4. None

Correct answer: 3. Clonorchiasis

Explanation: Ans. is 'c' i.e., Clonorchiasis Parasites associated with malignancy Clonorchis sinensis - Liver, bile duct (cholangiocarcinoma) and Pancreas (adenocarcinoma) Opisthorchis viverrini Bile duct (chalangio carcinoma) Schistosoma haematobium Urinary bladder (squamous cell Ca) Fasciola hepatica Cholangiocarcinoma